"Warty" or "Cauliflower" like growth is
1. Papilloma
2. fibroma
3. Lipoma
4. Torus

Correct answer: 1. Papilloma